Which of the following DOES NOT depend on insulin for glucose uptake :
1. Brain
2. Cardiac muscles
3. Skeletal muscles
4. Adipose tissue

Correct answer: 1. Brain

Explanation: Option a - Brain does not depend on insulin for glucose uptake Glucose uptake occurs in muscles (cardiac & skeletal) & adipose tissue GLUT-4 , which is insulin dependent. Only GLUT-4 is dependent on Insulin. In brain, GLUT-1 & GLUT-3 are present which are active during fasting state. Insulin always acts in a fed state. So, there is no relation between them Hence GLUT1 and 3 are not dependent on insulin.